Use of tiotropium is contraindicated in -
1. Bronchial asthma
2. Hypertension
3. Urinary retention
4. Peptic ulcer disease

Correct answer: 3. Urinary retention

Explanation: Ans. is 'c' i.e., Urinary retention o Tiotropium is an antimuscarinic drug and it should be avoided in patients with history of prostatic hyperplasia (urinary retention) --> by antagonising the action of Ach in bladder it relaxes detrusor and stimulate trigone urinary retention.